Bradycardia is common after injection of –
1. Midazolam
2. Succinyl choline
3. Dopamine
4. Isoprenaline

Correct answer: 2. Succinyl choline

Explanation: Succinylcholine is the only muscle relaxant, which stimulates vagus → Bradycardia.